Brush which should be used for normal healthy gingiva
1. Hard
2. Medium
3. Soft
4. Super soft

Correct answer: 3. Soft